A well of contaminated water resulting in an epidemic of acute watery diarrhea is a typical example for:
1. Common source, single exposure epidemic
2. Common source, continuous exposure epidemic
3. Slow epidemic
4. Propagated epidemic

Correct answer: 2. Common source, continuous exposure epidemic

Explanation: - A well of contaminated water resulting in an epidemic of acute watery diarrhea is an example of Common source, continuous exposure epidemic as there is continuous and repeated exposure. - Multiple peaks known as SECONDARY WAVES are seen.